Epinephrine added to a solution of lignocaine for a peripheral nerve block will :
1. Increase risk of convulsions
2. Increase the duration of action of the local anesthetic
3. Both (a) and (b)
4. None of these

Correct answer: 2. Increase the duration of action of the local anesthetic